The hydrolytic step leading to release of polypeptide chain from ribosomes in catalysed by:
1. Stop codons
2. Pepitidyl transferase
3. AUG codon
4. All

Correct answer: 2. Pepitidyl transferase

Explanation: B i.e. Peptidyl transferase;